A 47 year old executive consults his physician with complaints of feeling tired and several months of abdominal pain and "dark-colored" urine. The physician does a physical examination and notes that the patient is slightly jaundiced, and his gallbladder is palpable, but not tender. Which of the following disorders is most likely, given this presentation?
1. Acute cholecystitis
2. Amyloidosis
3. Hepatic cirrhosis
4. Pancreatic cancer

Correct answer: 4. Pancreatic cancer

Explanation: Carcinoma of the pancreas is often associated with vague, non-specific symptoms such as abdominal pain, but it may be initially asymptomatic. Jaundice is found in the majority of patients with cancers of the head of the pancreas, along with an enlarged, palpable gallbladder (Courvoisier's sign) without significant tenderness or other signs of cholecystitis. Ref: Sharma A. (2012). Chapter 28. Tumors of the Pancreas. In N.J. Greenberger, R.S. Blumberg, R. Burakoff (Eds), CURRENT Diagnosis & Treatment: Gastroenterology, Hepatology, & Endoscopy, 2e.